In OCD, if patient tries to resist obsession, then patient develops?
1. Depression
2. Mania
3. Anxiety
4. Delusion

Correct answer: 3. Anxiety

Explanation: Ans. is 'c' i.e. Anxiety * OCD is an anxiety disorder which is characterized by recurrent, unwanted thoughts (Obsessions) and repetitive behaviors (compulsions).* Patient tries to resist against it but is unable to do so which leads to marked distress or anxiety.Obsessive compulsive disorder (PCD)* OCD is an anxiety disorder which is characterized by recurrent, unwanted thoughts (Obsessions) and repetitive behaviors (compulsions).* An obsession has following characteristic : -i) An idea, impulse or image which intrudes into the conscious awareness repeatedly.ii) It is recognized as one's own ideas, impulse or image but is perceived as egoalien (foreign to ones personality).iii) It is recognized as irrational and absurd (insight is presents Patient knows about disorder).iv) Patient tries to resist against it but is unable to do so which leads to marked distress or anxiety.* A compulsion has following characteristics : -i) It is repetitive, purposeful form of behavior is carried out because of strong feeling of compulsion to do so.ii) It usually follows an obsession.iii) Its goal is to prevent or reduce the anxiety or stress caused by obsession however it do not always succeed in doing so.iv) It is irrational or excessive and not realistic.v) Insight is present.* A patient with OCD may have an obsession, a compulsion or both (mostly patients have both).* A patient with OCD realizes the irrationality of the obsession and experiences both the obsession and the compulsion as ego-dystonic (unwanted behavior).* The person is preoccupied with details rules, list order, organization or schedules to the extent that the major point of activity is lost.* The person shows perfectionism that interferes with task completion (e.g., unable to complete project because his own overtly strict standard are not met).